Not true about first referral unit
1. Covers 1 lakh population
2. Has 30 beds
3. Provides secondary care
4. Community health officer is medical graduate or post graduate

Correct answer: 4. Community health officer is medical graduate or post graduate

Explanation: Use of Shakir's tape for meassuring arm
Circumference
Equitable distribution
Intersectoral co-ordination
Community participation
Appropriate technology